Lobar pneumonia is caused by:
1. Staphylococcus aureus
2. Klebsiella
3. Streptococcus pnuemoniae
4. Pseudomonas

Correct answer: 3. Streptococcus pnuemoniae

Explanation: Ans. C: Streptococcus pnuemoniaeThe most common organism that causes lobar pneumonia is Streptococcus pneumoniae, also called the pneumococcus. Mycobacterium tuberculosis, the tubercle bacillus, may also cause lobar pneumonia if pulmonary tuberculosis is not treated promptly